Antipsychotic drug with least extrapyramidal effects is
1. Clozapine
2. Risperidone
3. Thioridazine
4. Chlorpromazine

Correct answer: 1. Clozapine